Which of the following is the most toxic compound of mercury?
1. Chloride
2. Oxide
3. Cyanide
4. Chromate

Correct answer: 1. Chloride

Explanation: Mercuric chloride or corrosive sublimate is the most toxic compound of mercury. Characteristic features of chronic mercury poisoning are danbury tremors, hatters shakes, concussio mercurialis, mercurial erethism, mercuriolentis and acrodynia. Ref: Essentials of Forensic Medicine and Toxicology by Dr K S Narayan Reddy 27th edition page 477.